Inferior rib notching is seen in -
1. Coarctation of aorta
2. SLE
3. RA
4. Scleroderma

Correct answer: 1. Coarctation of aorta

Explanation: Ans. is 'a' i.e., Coarctation of aorta Rib notchingo "Rib notches" are peripheral, sharply circumscribed osteolytic lesion on superior or inferior surface of ribs,o Causes of rib notching ae : -Inferior surfaceArterialCoarctation of aortaBilateral Rib notching is seen on the lower border of 3rd to 8th ribs. Rib notching is absent in the 1st & 2nd ribs. Rib notching is usually present after the age of 7 years.Aortic thrombosis (aortic obstruction) or aortitis.Subclavian obstruction after Blalock operation for Fallot's tetralogy (Taussig Blalock operation.Pulmonary oligemiaPulmonary' atresia, TOF, absent pulmonary artery.Venous : - SVC obstructionArteriovenous: - Pulmonary arteriovenous malformation, chest wall arteriovenous malformation.Neurogenic: - Neurofibromatosis.Superior surfaceConnective tissue diseases : - SLE, Scleroderma, RA, Sjogren's syndrome.Metabolic : - HyperparathyroidismMiscellaneous : Neurofibromatosis, Restrictive lung disease, Poliomyelitis, Marfan's syndrome, progeria. Osteogenesis imperfecta.